Anita 15-year-old, complains of heavy periods since 2 months. O/E: wt 40 kg and BP 120/80 mmHg. All of the following investigations are indicated, except :
1. TSH
2. Platelet count
3. Bleeding and clotting time
4. Estradiol levels

Correct answer: 4. Estradiol levels

Explanation: Investigations in a case of puberty menorrhagia : 1.Blood profile--Hb%, bleeding and clotting time, coagulation factors; blood film. 2.X-ray chest for tuberculosis. 3.Thyroid function tests. 4.Pelvic ultrasound PCOD, early fibroid. 5.If medical treatment fails, D&C should be done to rule out endometrial tuberculosis by RTPCR test. Reference: Shaw's Textbook of Gynaecology 16th edition page no 340